Pipe stem appearance in barium enema is seen in-
1. Crohns disease
2. Ulcerative colitis
3. Schistosomiasis
4. Carcinoma colon

Correct answer: 2. Ulcerative colitis

Explanation: Ans. is 'b' i.e., Ulcerative colitiso In UC, Transverse colon and left colon may show pipestem appearance on barium enema.